After excision of breast for Ca breast, a surgical reconstruction of breast tissue was don This reflects
1. Primary prevention
2. Secondary prevention
3. Tertiary prevention
4. Medical treatment

Correct answer: 3. Tertiary prevention